Amifostine, protects all of the following except –
1. CNS
2. Salivary glands
3. Kidneys
4. GIT

Correct answer: 1. CNS

Explanation: Amifostine does not cross the blood brain barrier and offers no protection to the Central Nervous System.